Which of the following is the common clinical manifestation of human parvovirus B 19 (HPV-B 19) infection ?
1. Aplastic crisis in hemolytic anemia patients
2. Anemia in neonatal period
3. Erythema infectiosum
4. Hydrops fetalis

Correct answer: 3. Erythema infectiosum

Explanation: Ans. is 'c' i.e., Erythema infectiosum